Which of the following is a cause of extravascular hemolysis-
1. Falciparum malaria
2. Sickle cell disease
3. Mismatched blood transfusion
4. Microthrombi in circulation

Correct answer: 2. Sickle cell disease

Explanation: Extravascular hemolysis is generally caused by alterations that render the red cells less deformable. Reduced deformability makes the passage difficult leading to red cell sequestration and phagocytosis by macrophages located within splenic cords.This occurs in sickle cell anemia. Intravascular hemolysis caused by intracellular parasites like plasmodium falciparum. Mechanical injury also causes intravascular hemolysis. It can be occured by thrombotic narrowing of microcirculation. Mismatched blood transfusion also causes intravascular hemolysis. Reference : Robbins and Cotran Pathologic basis of disease.South Asia Edition volume 1.page no. 631